An elderly man presents with h/o abdomianl pain. He is found to have a fusiform dilatation of the descending aorta. Likely cause is:
1. Trauma
2. Atherosclerosis
3. Right ventricular failure
4. Syphilitic aortitis

Correct answer: 2. Atherosclerosis

Explanation: The is a case, of a symptomatic aneurysm suggested by pain as well as a fusiform dilatation of the aorta. 95% of the abdominal aneurysms are due to atherosclerosis. Ref: Bailey and Love's Short Practice of Surgery, 25th Edition, Page 918 and 23rd Edition, Page 727.